Indium in metal are further added to
1. The tarnish resistance of metal
2. Help in corrosion resistance
3. Help in bonding
4. Impart color

Correct answer: 3. Help in bonding